Which of the following is the most sensitive marker of active Hepatitis B virus replication :
1. HBV DNA
2. HBV DNA polymerase
3. HBeAg
4. Transaminases

Correct answer: 1. HBV DNA

Explanation: Answer is A (HBV DNA) HBV DNA is the most sensitive marker of active Hepatitis B virus replication `HBV DNA is the most sensitive marker of virus replication. The detection of HBV DNA as the most sensitive marker of virus replication end as such proof of infectivity has replaced the determination of DNA polymerase' -- 'Hepatology' by Kuntz 3rd/121 `The gold standard for confirmation of viral replication is qualitative HBV DNA detection' -- 'Viral Infections & Treatment' by Weigmann (2003)/225 Markers for HBV Replication HBV DNAe > HBV DNA polymerasee > HBe Age